In first stage of demographic cycle:
1. Birth rate=death rate
2. Birth rate
3. Birth rate>death rate
4. None of the above

Correct answer: 1. Birth rate=death rate

Explanation: First stage (High stationary): This stage is characterised by high birth and death rate which cancel out each other and the population remains stationary. Ref: Park, 22nd edition pg: 441